Second messengers, DAG and IP3 are formed from
1. Phosphatidyl choline
2. Phosphatidyl ethanolamine
3. Phosphatidyl serine
4. Phosphatidyl inositol

Correct answer: 4. Phosphatidyl inositol

Explanation: Phosphatidylinositol Is a Precursor of Second MessengersThe G proteins activate phospholipase C, which hydrolyzes phosphatidylinositol4,5-bisphosphate to produce diacylglycerols and the water-soluble second messenger inositol 1,4,5-triphosphate (IP3).Ref: Harper's Biochemistry; 30th edition; Chapter 54; White Blood Cells